Cubital tunnel syndrome
1. Radial nerve
2. Ulnar nerve
3. popliteal nerve
4. brachial nerve

Correct answer: 2. Ulnar nerve